Left Axis Deviation is seen as
1. Positive in Lead I and Positive in Lead II
2. Positive in Lead I and Negative in Lead II
3. Negative in Lead I and Negative in Lead II
4. Negative in Lead I and positive in Lead II

Correct answer: 2. Positive in Lead I and Negative in Lead II

Explanation: Answer is B (Positive in Lead I and Negative in Lead II) Left axis deviation is seen as positive deflexion in Lead I and a Negative deflection in Lead II. Calculating the cardiac axis: Normal Axis Right axis deviation Left axis deviation Lead I Positive Negative Positive Lead II Positive Positive or negative Negative Lead III Positive or negative Positive Negative Note: Lead I : POSITIVE BETWEEN -90 TO +90 (CLOCKWISE) Lead II : POSITIVE BETWEEN -30 TO +150 (CLOCKWISE) Lead III : POSITIVE BETWEEN +30 TO -150 (CLOCKWISE)